Cervix develops from:
1. Urogenital sinus
2. Mesonephric duct
3. Paramesonephric duct
4. Mesonephric tubules

Correct answer: 3. Paramesonephric duct

Explanation: Mullerian ducts (or paramesonephric ducts)They are paired ducts of the embryo that run down the lateral sides of the urogenital ridge and terminate at the Mullerian eminence in the primitive urogenital sinus.In the female, they will develop to form the Fallopian tubes, uterus, cervix, and the upper two-thirds of thevagina; in the male, they are lost.These ducts are made of tissue of mesodermal origin.